A patient with nephrotic syndrome on longstanding cortico-steroid therapy may develop all the following except -
1. Hyperglycemia
2. Hypertrophy of muscle
3. Neuropsychiatric symptoms
4. Suppression of hypothalemic pituitary adrenal axis

Correct answer: 2. Hypertrophy of muscle